Faint letter mark can be made visible by :
1. Infrared photography
2. Spectrophotometer
3. Ordinary light
4. X-ray

Correct answer: 1. Infrared photography

Explanation: A i.e. Infrared photography